Golden hour of fracture femur is-
1. 1 hr after injury
2. 1 hr prior to injury
3. 1 hr after reaching the hospital
4. 1 hr after surgical procedure

Correct answer: 1. 1 hr after injury

Explanation: Ans. is 'a' i.e., 1 hr after injury Golden Houro It is the first hour from the time of trauma.o It is the most critical for life and for the limb viability following fracture femur.o Best prognosis is for the patients with fracture femur are for those who reach the OR in the golden hour,o The emergency medical team should not take more than 10 minutes from the time of trauma in patients with fracture femur to decide and start shifting the patient. This is described as '"Platinum Ten".Thus,Golden hour -1 hour from the time of injury.Platinum hour - ten minutes from the time ofinjury.